What is the normal position and axis of uterus ?
1. anteversion , retroflexion
2. retroversion , retroflexion
3. retroversion , anteflexion
4. anteversion , anteflexion

Correct answer: 4. anteversion , anteflexion

Explanation: Normally, the long axis of the uterus forms an angle of about 90 degrees with the long axis of the vagina. The angle is open forwards. The forward bending of the uterus relative to the vagina is called anteversion. The uterus is also slightly flexed on itself : this is referred to as antefiexion. The angle of anteflexion is 125 degree. Ref : B D Chaurasia's Human Anatomy , Seventh edition , volume 2 , pg. no., 419.